A 6 yr old child develops sore throat with high grade fever. On examination, there was tender b/l cervical adenopathy & throat examination showed following: Antibiotics started will prevent/reduce the risk of all of the following EXCEPT?
1. Rheumatic fever
2. Acute Glomerulonephritis
3. Transmission of infection to others
4. Peritonsillar abscess

Correct answer: 2. Acute Glomerulonephritis

Explanation: Given scenario suggests diagnosis of Streptococcal Pharyngitis Complications - Peritonsillar abscess Acute rheumatic fever Acute post streptococcal Glomerulonephritis- cannot be prevented